Angular movement is sensed by
1. Cochlea
2. Saccule
3. Utricle
4. Semicircular canal

Correct answer: 4. Semicircular canal

Explanation: Semicircular canals respond to Angular acceleration and deceleration Utricle and Saccule maintain static equilibrium The cochlea is the auditory portion of the inner ear Ref: PL Dhingra 6th edition of Ear, Nose and Throat; Pg no 17